A 40-year-old woman presents with a 2-year history of erythematous papulopustular lesions on the convexities of the face. There is a background of erythema and telangiectasia. The most likely diagnosis in the patient is:
1. Acne vulgaris
2. Rosacea
3. Systemic lupus erythematosus
4. Polymorphic light eruption

Correct answer: 2. Rosacea

Explanation: Rosacea is a chronic inflammatory disorder of the skin of the facial convexities characterized by persistent erythema and telangiectasias punctuated by acute episodes of swelling, papules and pustules. Ref: Anthony Du Vivier, Phillip H. McKee, Chapter 24, "Disorders of The Sebaceous, Sweat and Apocrine Glands", In the book, "Atlas of Clinical Dermatology", Elsivier Publication, 2002, 3rd Edition, Spain, Page 587